Laminin and fibronectin are involved in all the following cell function except -
1. Adhesion
2. Migration
3. Apoptosis
4. Differentiation

Correct answer: 3. Apoptosis

Explanation: Ans. is 'c' i.e., Apoptosis